Type of tympanogram seen in thick tympanic membrane condition is
1. Type A
2. Type B
3. Type C
4. Type D

Correct answer: 2. Type B

Explanation: TypeConditionType ANormal tympanogramType AsCompliance is lower at or near ambient air pressure. Seen in fixation of ossicles, e.g. otosclerosis or malleus fixationType ADHigh compliance at or near ambient pressure.Seen in the ossicular discontinuity or thin and lax tympanic membraneType BA flat or dome-shaped graph. No change in compliance with pressure changes. Seen in middle ear fluid or thick tympanic membraneType CMaximum compliance occurs with negative pressure in excess of 100 mm H2O. Seen in a retracted tympanic membrane and may show some fluid in the middle earRef: Dhingra; 6th edition; Chapter 4; Page no: 24